In a DNA the coding region reads 5'-CGT-3'. This would code in the RNA as
1. 5'-CGU-3'
2. 5' GCA-3'
3. 5'-ACG-3'
4. 5'-UGC-3'

Correct answer: 1. 5'-CGU-3'

Explanation: As stated earlier, the sequence of RNA transcript is same as coding strand except U in place of T.